Omeprazole effects are due to:
1. Prostaglandin analogue
2. H, antihistamines
3. Proton pump inhibitor
4. Ulcer protective mechanism

Correct answer: 3. Proton pump inhibitor

Explanation: Ans. C i.e. Proton pump inhibitor Omeprazole It is a proton pump inhibitor used in the treatment of: - Dyspepsia, - Peptic ulcer disease (PUD), - Gastroesophageal reflux disease (GORD/GERD), - Laryngopharyngeal reflux (LPR) and - Zollinger-Ellison syndrome.